In ARDS, not true is -
1. Decreased pulmonary compliance
2. Increased pulmonary artery pressure
3. Increased left atrial pressure
4. Severe hypoxemia

Correct answer: 3. Increased left atrial pressure

Explanation: Answer is C (Increased Left atrial pressure) PCWP of - 18mm lb, with no clinical evidence of increased left atrial pressure.